An 8 year old student complains of lack of interest in studies for the last 6 months. He has frequent quarrels with his parents and has frequent headaches. The most appropriate clinical approach would be :
1. Leave his as normal adolescent problem
2. Rule out depression
3. Rule out migraine
4. Rule out an oppositional defiant disorder

Correct answer: 2. Rule out depression

Explanation: Frequent quarrels with parents (quick temper / easily angered) can be seen both in :


Depression in children.
Oppositional defiant disorder.


However, Physical symptoms (e.g., headache) and lack of interest occur in depression in children (not in oppositional defiant disorder).